In a case of Dysgerminoma of ovary one of the following tumor markers is likely to be raised.
1. Serum HCG.
2. Serum alphafetoprotein.
3. Serum lactic dehydrogenase.
4. Serum inhibin.

Correct answer: 3. Serum lactic dehydrogenase.

Explanation: Placental alkaline phosphatase (PLAP) and lactate dehydrogenase (LDH) are produced by up to 95% of dysgerminomas, and serial measurements of LDH may be useful for monitoring the disease. A karyotype should be obtained preoperatively for all premenarcheal girls, particularly those with dysgerminomas, because of the propensity of these tumors to arise in dysgenetic gonads